Which of the statement regarding pseudocyst of pancreas is FALSE?
1. Has a fibrous coat
2. Has mucous lining epithelium
3. Not a true cyst
4. Present as epigastric mass

Correct answer: 2. Has mucous lining epithelium

Explanation: A pseudopancreatic cyst is not a true cyst. It is a chronic collection of pancreatic fluid surrounded by a nonepithelialized wall of granulation tissue and fibrosis. It is seen in 10% of patients with acute pancreatitis and 20-30% patients with chronic pancreatitis. It is the most common complication of chronic pancreatitis. Pateints usually presents with pain, fullness or early satiety.